In differential diagnosis of lump in right fornix which is not true :
1. Ovarian cyst
2. Hydro salpinx
3. Appendicular mass
4. Submucosal fibroid

Correct answer: 4. Submucosal fibroid

Explanation: Submucosal fibroid